A 21 year male with fracture surgical neck humerus presented with regimental badge sign and difficulty in abduction, most likely to be injured
1. Ulnar nerve injury
2. Axillary nerve injury
3. Klumpke's paralysis
4. Supraclavicular nerve injury

Correct answer: 2. Axillary nerve injury